Growth hormone secretion is stimulated by ?
1. Increased blood glucose
2. Decreased blood glucose
3. Cortisol
4. Somatostatin

Correct answer: 2. Decreased blood glucose

Explanation: Ans. is 'b' i.e., Decreased blood glucose Regulation of GH secretion GH secretion is regulated by GHRH released from hypothalamus. GH is secreted in a pulsatile fashion throughout the life, with elevated rates of secretion immediately after birth and at puberty. Interestingly, large bursts of secretion occur at night during the onset of deep sleep. Stimuli that increase secretion of GH are hypoglycemia, exercise, fasting, protein meals, aminoacids (like arginine), stress, glucagon, pyrogen, lysin vasopressin, apomorphins, L-dopa & a-adrenergics, estrogen, androgens and 2-deoxyglucose. Stimuli that decrease secretion of GH are REM sleep, glucose, Somatostatin, cortisol, FFA, GH itself, IGF-1, and medroxyprogesteron.